Barefoot doctor term has evolved from
1. Greek
2. Egypt
3. Mesopotamian
4. Chinese

Correct answer: 4. Chinese